Which of the following cells is instrumental in transmitting human immunodeficiency virus (HIV) to CD4+ T lymphocytes?
1. Neutrophils
2. Dendritic cells
3. CD8+cells
4. NK cells

Correct answer: 2. Dendritic cells